False statement about hemoglobin structure?
1. Hb has 2 polypeptide
2. Iron is present in ferrous state
3. Hb structurally similar to myoglobin
4. Ferrous ions are in porphyrin rings

Correct answer: 1. Hb has 2 polypeptide

Explanation: Each hemoglobin molecule is made up of:- (i) Non-protein part, i.e. heme; and (ii) Globin, which has 4 polypeptide chains (2 pairs of similar polypeptide chains).
Iron of hemoglobin is in the ferrous state which lies in the center of the porphyrin ring.
Myoglobin and the β-subunits of hemoglobin share almost identical structures.